McArdle’s disease is caused due to deficiency of
1. Glucose-6-phosphatase
2. Muscle (Myo) Phosphorylase
3. Lysosomal glucosidase
4. Microsomal Pi transporter

Correct answer: 2. Muscle (Myo) Phosphorylase